Eustachian tube patency seen by -
1. Valsalva
2. Methylene blue test
3. Toyn bee test
4. All the above

Correct answer: 4. All the above

Explanation: Ans. is 'd' i.e., All the above Tests for Eustachian tube patencyValsalva testo Politzer testo Catheterizationo Methylene blue testo Toynbee testo Inflation-Deflation testo Sonotubometry'o Frenzel maneuver